Early morning awakening and reduced latency of REM sleep is suggestive of -
1. Delirium
2. Depression
3. Schizophrenia
4. Anxiety

Correct answer: 2. Depression

Explanation: Early morning awakening and reduced latency of REM sleep is suggestive of depression.